21-Hydroxylase deficiency - false is ?
1. Most common cause of congenital adrenal hyperlasia
2. Autosomal recessive
3. Femal pseudo hermaphroditism
4. Male pseudo hermephroditism

Correct answer: 4. Male pseudo hermephroditism

Explanation: Ans. is 'd' i.e., Male pseudo hermephroditism Congenital adrenal hvperplasia (CAH) Group of AR disorder MC adrenal disorder in childhood Most common 21-hydroxylase deficiency =There is elevated level of pregenolone, 17 -OH pergenelone DHEA and decreas level of progesterone, deoxycortisol,and estradiol so 21 hydroxylase deficiency causes female pseudohermaphroditism.